All of the following drugs reduce afterload ,except
1. Enalapril
2. Propranolol
3. Hydralizine
4. Sodium nitroprusside

Correct answer: 2. Propranolol

Explanation: Afterload is reduced by the drugs having arteriolar dialting property. Propranolol is a non selective beta blockers. It can cause Vasoconstriction by antagonizing beta 2 mediated vasodilatation. It, therfore do not cause afterload Refer kDT 6/e 504